Lingual arch technique was given by:
1. Kurz
2. Pierre fauchard.
3. Andrew
4. Angle.

Correct answer: 1. Kurz